Reverse transcription involves ?
1. RNA dependent DNA synthesis
2. DNA dependent RNA synthesis
3. DNA dependent DNA synthesis
4. RNA dependent RNA synthesis

Correct answer: 1. RNA dependent DNA synthesis

Explanation: Ans. is 'a' he., RNA dependent DNA synthesis o Synthesis of RNA from DNA is called transcription.o In transcription. RNA is synthesized by RNA polymerase. RNA polymerase is also called DNA dependent RNA polymerase because it is dependent on DNA (non-coding strand) for RNA synthesis.o Reverse transcription, as the name suggests, is the reverse of transcription i.e. synthesis of DNA form RNA.o In reverse transcription DNA is synthesized by reverse transcriptase. Reverse transcriptase is also called RNA dependent DNA polymerase because it is dependent on RNA for DNA synthesis.